A newborn baby presented with a failure to pass meconium in the immediate postnatal period. The pediatrician also notices visible yet ineffective peristalsis, and abdominal distention. A radiological contrast enema demonstrated a narrow conical segment and a dilated proximal bowel. A diagnosis of Hirschsprung disease was made. Which of the following is a cause of the condition in the patient?
1. Failure of migration of neural crest cells
2. Excessive peristalsis of the affected part of gut
3. Failure of involution of vitelline duct
4. Obstruction secondary to an infectious agent

Correct answer: 1. Failure of migration of neural crest cells

Explanation: Hirschsprung disease: Also known as congenital aganglionic megacolon Premature arrest of normal migration of neural crest cells from the cecum to the rectum producing aganglionosis of distal intestinal segment Functional obstruction of the affected bowel and proximal dilation Diagnosis: Documenting the absence of ganglion cells within the affected segment using immunohistochemical stains for acetylcholinesterase.